Lardaceous spleen is due to deposition of amyloid in
1. Sinusoids of red pulp
2. White pulp
3. Pencillary artery
4. Splenic trabeculae

Correct answer: 1. Sinusoids of red pulp

Explanation: Ref Robbins 9/e p261 Spleen. Amyloidosis of the spleen often causes moderate or even marked enlargement (200 to 800 gm). For obscure reasons, either of two patterns may develop. The deposits may be virtually limited to the splenic follicles, producing tapioca-like granules on gross examination ("sago spleen"), or the amyloidosis may principally involve the splenic sinuses, eventually extending to the splenic pulp, with formation of large, sheetlike deposits ("lardaceous spleen"). In both pat- terns, the spleen is firm in consistency. The presence of blood in splenic sinuses usually imparts a reddish color to the waxy, friable deposits.